Consent is required for:
1. Mass immunization
2. Medico-legal autopsy
3. Pathological autopsy
4. Treatment of unconscious patient

Correct answer: 3. Pathological autopsy

Explanation: Ans. Pathological autopsy